Which of the following is the first strategy in the management of chronic obstructive lung disease ?
1. Aminophylline
2. Anti-cholinergics
3. Cessation of smoking
4. Oral steroids

Correct answer: 3. Cessation of smoking